Sampling method used in assessing immunization status of children under immunization programme is
1. Systemic sampleing
2. Stratified sampling
3. Group sampling
4. Cluster sampling

Correct answer: 4. Cluster sampling

Explanation: Ans. is 'd' i.e., Cluster sampling o In the Expanded programme on Immunization (EPI) cluster technique, a simplified cluster sampling method is used. It is based on ranodm selection of 210 children who are 12-23 months of age. These patients are selected in 30 clusters of 7 children each to estimate immunization coverage levels.